Mosquitoes decrease as height increases -
1. Positive correlation
2. Negative correlation
3. Bidirectional
4. Zero

Correct answer: 2. Negative correlation

Explanation: Ans. is 'b* i.e., Negative correlation o This is a negative correlation. Le. when height increases the mosquitoes decrease,First read about these two related terms :-o Association - Association may be defined as the concurrence of two variables more often than would be expected by chance. That mean 2 variables exist simultaneously,o Correlation - Correlation indicates the degree (strength) of association between two variables, i.e. relationship between two quantitative variables.o Height to weight is an association and the strength of this association is indicated by correlation.